Which of the following immunoglobulins shows homocytotropism -
1. IgG
2. IgA
3. IgE
4. IgD

Correct answer: 3. IgE

Explanation: IgE is an 8 S molecule. - resemble IgG structurally. - heat liable - an affinity for the surface of tissue cells particularly mast cells of the same species. This feature is called homocytotropism. - the normal serum contains only traces of IgE ( a few nanograms per ml ) - greatly elevated levels in atopic conditions like asthma, hay fever. Reference : Anathanarayan & paniker's 9th edition, pg no: 98,98